Burns and hematemesis -
1. Cushing ulcer
2. Curlings ulcer
3. Malgagnie's ulcer
4. Intracranial tumor

Correct answer: 2. Curlings ulcer

Explanation: Ans. is 'b' i.e., Curling's ulcer o Curling's ulcer is acute peptic ulcer (stress ulcer) of the duodenum described in 1842 by Curling as a complication of bums. According to Robb in's Curling ulcers are associated with severe burns or trauma,o Cushing's ulcer is acute peptic ulcer of stomach, duodenum and esophagus seen in intracranial injury, operations or tumor. Cushing ulcers cany a high incidence of perforation.